Short acting L.A –
1. Procaine
2. Lignocaine
3. Bupivacaine
4. Tetracaine

Correct answer: 1. Procaine